Asians & native americans may flush & feel ill after drinking small amount of ethanol. This reaction is due to genetic variation in which enzyme:
1. Alcohol dehydrogenase
2. Aldehyde dehydrogenase
3. Isocitrate dehydrogenase
4. Alpha-keto glutarate dehydrogenase

Correct answer: 2. Aldehyde dehydrogenase

Explanation: * Genetic variation occurs in enzyme aldehyde dehydrogenase, specially in people of China, Korea & native America, known as Asian flush syndrome. Increased acetaldehyde causes:- Nausea Vomiting Flushing Sweating Tachycardia & hyperventilation ADDITIONAL READING ON ALCOHOL DEHYDROGENASE (ADH): There are many isoenzymes Most abundant - ADH-1A Present in cytoplasm of liver and adrenal glands Has NAD containing domain known as Rossman fold